Penumococcal meningitis is associated with the following CSF findings
1. Pleocytosis with low protein and low sugar
2. Pleocytosis with high protein and low sugar
3. Lymphocytosis low protein and low sugar
4. Lymphocytosis high protein and low sugar

Correct answer: 2. Pleocytosis with high protein and low sugar

Explanation: Harrison's textbook of internal medicine 17th edition . *Typical finding of CSF in pneumococcal meningitis is increased WBC count (500-10000cells /microL) with _>85%PMNs,an elevated protein level(100-500mg/DL)and decreased glucose level(<30mg/DL).